Most important amino acid transported from muscle to liver for gluconeogenesis:
1. Methionine
2. Tryptophan
3. Alanine
4. Arginine

Correct answer: 3. Alanine

Explanation: Alanine most glucogenic amino acid. formed in fasting muscles from pyruvate. transported from muscles to the liver blood undergoes gluconeogenesis in liver. See treasure for Cahill Cycle (Glucose-Alanine Cycle) Reaction/Pathway taking place Product formed in Muscles During exercise Anaerobic glycolysis Lactate During fasting Transamination Alanine